The increase in threshold of a receptor when a series of stimuli of subthreshold intensity are applied in succession is called:
1. Adaptation
2. Accomodation
3. Initiation
4. Resistance

Correct answer: 2. Accomodation

Explanation: B i.e. Accomodation